Carvedilol is an effective antihypertensive agent that, like propranolol, is capable of blocking beta receptors. An important difference between the two drugs is that carvedilol
1. is available only as eye drops
2. has intrinsic sympathomimetic activity
3. is a selective blocker of cardiac b1 receptors
4. has a1 receptor blocking actions

Correct answer: 4. has a1 receptor blocking actions

Explanation: a + b ADRENERGIC BLOCKERS Includes Labetalol, Carvedilol. Carvedilol:- It is a b1 + b2 + a1 adrenoceptor blocker; produces vasodilatation due to a1 blockade as well as calcium channel blockade, and has antioxidant property. It has been used in hypertension and is the b blocker especially employed as cardioprotective in CHF. Oral bioavailability of carvedilol is 30%. It is primarily metabolized and has a t 1/2 of 6-8 hrs. Ref:- kd tripathi; pg num:-151